Characteristic of chronic eczema ?
1. Erythema
2. Induration
3. Lichenification
4. Edema

Correct answer: 3. Lichenification

Explanation: Ans. is 'c' i.e., Lichenification Phase (stage) Clinical features Histology Acute Vesicles a Erythema Edema o Crusts Spongiosis (intracellular edema) Subacute Erythmatous, hyperpigmented plaque Scales & Crusts Parakeratosis Chronic Lichenification Thickening of stratum malpighi